What is the drug of choice for CMV (cytomegalovirus) retinitis in patients with AIDS
1. Acyclovir
2. Ganciclovir
3. Pentamidine
4. Cotrimoxazole

Correct answer: 2. Ganciclovir